A 28 year old woman comes to you with the report of a USG done at 13 weeks, it shows the child has anencephaly and as a result of which she would like to do an MTP. Which of the following is NOT a preferred method of MTP in this condition?
1. Menstrual regulation
2. Intra amniotic instillation of urea and PGF2 a Extraovular instillation of ethacridine lactate
3. Extraovular instillation of ethacridine lactate
4. Parenteral administration of PGF2 a

Correct answer: 1. Menstrual regulation

Explanation: Menstrual regulation is a method of MTP used in the first trimester. It should be done within 42 days of the last menstrual period. The rest of the methods mentioned can be used in the 2nd trimester. Ref: Shaw's textbook of gynaecology,Edition 12, Page - 186.